Pulp space infection painful due to
1. Dense fibrous septae
2. Small phalynx
3. Rich blood supply
4. Rich nerve supply

Correct answer: 1. Dense fibrous septae

Explanation: Pulp space infection (felon)Pulp space infection with pus trapped between the specialized fingertip septae cause intense fingertip painIt may lead to terminal phalangeal bone infection, erosion and sequestrum formation. The last of these will need to be drained and debridedA common differential diagnosis with small vesicles and crusts is the self-resolving herpetic whitlow, especially in dental workers, caused by the herpe simplex virus(Refer: SRB's Textbook of Surgery, 5th edition)